Which of the following ions is involved in peripheral oxygen sensing chemoreceptors?
1. Potassium
2. Calcium
3. Sodium
4. Chlorine

Correct answer: 1. Potassium

Explanation: Potassium is involved in peripheral oxygen sensing chemoreceptors. Type I glomus cells (carotid and aortic body) have O2- sensitive K+ channels, whose conductance is reduced in proportion to the degree of hypoxia. This reduces the K+ efflux, depolarising the cell and causing Ca2+ influx. The Ca2+ influx triggers action potentials and consequent excitation of the afferent nerve endings. Ref: Ganong's Review of Medical Physiology 26th edition Pgno: 648